Lipid cast are seen in -
1. Acute tubular necrosis
2. Nephrotic syndrome
3. Cytomegalic inclusion disease
4. None

Correct answer: 2. Nephrotic syndrome